Filigree burn occur in -
1. Lightening
2. Electrocution
3. Vitrilage
4. Infanticide

Correct answer: 1. Lightening

Explanation: FILIGREE BURNS OR ARBORESCENT OR LICHTENBERG'S FLOWERS: occur due to lightning injury These are superficial thin irregular and tortuous markings on the skin resemble branches of a tree the fernlike pattern of erythema in the skin usually on shoulders and flanks may develop instantly or within a few minutes CAUSES: 1. Staining may be due to lysis of hemoglobin or rupture of small blood vessels 2. They may be superficial burns producing erythema of the skin 3. Minute deposition of copper in the dermis and disappears in one or two days if survived REF: The Synopsis of Forensic Medicine and Toxicology 29th edition page no: 168